Surfactant is made up of which of the following:
1. Degradable products
2. Mucoprotein
3. Fibrinogen
4. Phospholipid

Correct answer: 4. Phospholipid

Explanation: Ans. D. PhospholipidSurfactant is made up of PHOSPHOLIPID- DI-PALMITOIL-PHOPHATIDYL-CHOUNE (DPPC) + two major proteins having molecular weights of 32,000 and 10,000. It is secreted by TYPE II ALVEOLAR EPITHELIAL CELLS (type II Pneumocyte)